Which of the following is a cause of extravascular hemolysis -
1. Falciparum malaria
2. Sickle cell disease
3. Mismatched blood transfusion
4. Microthrombi in circulation

Correct answer: 2. Sickle cell disease